Duration of treatment is multibacillary leprosy according to WHO is -
1. 6 months
2. 1 year
3. 2 years
4. 5 years

Correct answer: 2. 1 year

Explanation: For multibacillary cases, adequate treatment implies that the patient has recieved 12 monthly doses of combined therapy within 18 months. Reference; Park's Textbook of preventive and social medicine, 24th edition.Pg no. 340